The following does not suggest deficiency in under five care in the community –
1. Infant mortality rate
2. 1–4 year mortality
3. Neonatal tetanus
4. Deaths due to diarrheal disease between 1–5 years

Correct answer: 3. Neonatal tetanus